All of the following are indicated in drug induced vomiting EXCEPT:
1. Ondansetron
2. Metoclopramide
3. Hyoscine
4. Chlorpromazine

Correct answer: 3. Hyoscine

Explanation: Ref: KD Tripathi, 6th ed. pg. 641, 642, 644, 646HYOSINE* It is the most effective drug for motion sickness.* Suitable only for short brisk journeys.* It acts by blocking conduction of nerve impulses in the pathway leading from the vestibular apparatus to the vomiting centre and is not effective in vomiting of other etiologies.ONDANSETRON* It is considered as the drug of choice for drug induced vomiting.* Used mainly to control cancer chemotherapy induced vomiting.* Effective in postoperative nausea and vomiting as well.METOCLOPRAMIDE* It is an effective and popular drug for many types of vomiting like: Postoperative, drug induced, disease associated (especially migraine), radiation sickness, etc.CHLORPROMAZINE* These are from typical antipsychotic having potent antiemetic action; act by blocking D2 receptors in the CTZ.* They have broad spectrum antiemetic action effective in:# Drug induced and post anaesthetic nausea and vomiting# Disease induced vomiting# Malignancy associated and cancer chemotherapy induced vomiting# Radiation sickness vomiting and morning sickness.